Pain in early labor is transmitted through
1. T11 - T12
2. L2 - L3
3. L4 - L5
4. S2 - S3

Correct answer: 1. T11 - T12